Most common vascular headache:
1. Cluster headache
2. Trigeminal neuralgia
3. Migraine.
4. MPDS

Correct answer: 3. Migraine.

Explanation: Headaches are believed to be either vascular or muscular in origin. Migraine is most common of the vascular headaches, and it occasionally causes pain of the face and jaws. Migraine is .due to vasoconstriction of intracranial vessels (that causes neurologic symptoms) followed by vasodilation that results in pounding headache. Basilarsg- tithe is most common in young women.